Peptide hormone among the following:
1. Androgens
2. Estogern
3. Progesterone
4. None

Correct answer: 4. None

Explanation: Peptide hormone are: Glucagon Insulin Pitutary hormones